Killian's dehiscence is seen in
1. Oropharynx
2. Nasopharynx
3. Cricopharynx
4. Vocal cords

Correct answer: 3. Cricopharynx

Explanation: Killian's dehiscence (also known as Killian's triangle, Laimer's triangle, and Killian-Laimer triangle) is a triangular area in the wall of the pharynx between the thyropharyngeus part of the inferior constrictor of the pharynx and the cricopharyngeus muscle, also of the inferior constrictor muscle of the pharynx. It represents a potentially weak spot where a pharyngoesophageal diverticulum (Zenker's diverticulum) is more likely to occur